In a case of Plasmodium falciparum malaria, the peripheral blood smear does not demonstrate trophozoites and schizonts. The reason for this is:
1. Apoptosis of red cells because of hemozoin pigments
2. Lysis of red cells with malarial parasite
3. Infested cells are trapped in the spleen
4. Infested red blood cells stick to the capillaries

Correct answer: 4. Infested red blood cells stick to the capillaries

Explanation: -Plasmodium falciparum is associated with infected red cells expressing PfEMP (Plasmodium falciparum erythrocyte membrane protein) leading to their attachment to the endothelial cells. -This leads to sequestration of infected red cells in the capillaries. -That's the reason for the non-appearance of trophozoites and schizonts in the peripheral blood smear.